Which of the following blood vessels is most commonly affected by atherosclerosis
1. Popliteal artery
2. Thoracic aorta
3. Abdominal aorta
4. Coronary arteries

Correct answer: 3. Abdominal aorta

Explanation: Abdominal aorta especially region below the renal arteries and above the iliac bifurcation is the most commonly affected vessel.